Which of the following bone grafts have osteogenic properties ?
1. Calcium sulphate
2. Calcium triphosphate
3. Demineralized bone matrix
4. Bone marrow aspirate

Correct answer: 4. Bone marrow aspirate

Explanation: Ans. is 'd' i.e., Bone marrow aspirate